Maximum recommended dose of lignocaine with epinephrine:
1. 5 mg/kg. body weight
2. 7 mg/kg. body weight
3. 10 mg/kg. body weight
4. 15 mg/kg. body weight

Correct answer: 2. 7 mg/kg. body weight